The following is not a constitute of cell membrane:
1. Cholesterol
2. Carbohydrates
3. Proteins
4. Nucleic acids

Correct answer: 4. Nucleic acids

Explanation: Cell is made of 3 substances: Lipid Proteins Carbohydrates